Edema over the mastoid is seen in -
1. Bell's Palsy
2. Lateral sinus thrombophlebitis
3. CSOM
4. ASOM

Correct answer: 2. Lateral sinus thrombophlebitis

Explanation: Ans. is'b'i.e., Lateral sinus thrombophlebitis (Ref: Dhingra sth/e p. 95) Edema over posterior post of mastoid (Griesinger's sign) is seen in lateral sinus thrombosis (signal sinus thrombosis).